HIV was discovered in which year?
1. 1983
2. 1979
3. 1969
4. 1990

Correct answer: 1. 1983

Explanation: Ans. (a) 1983(Ref: Robbins 9th/pg 243; 8th/pg 236)History of HIV:YearHIV linked developments1981AIDS was first recognized in the United States by U.S. Centers for Disease Control and Prevention (CDC).1983HIV isolated from a patient with lymphadenopathy (HIV 1st discovered)1984HIV demonstrated as causative agent of AIDS1985Enzyme-linked immunosorbent assay (ELISA) was developed to diagnose HIV